Life threatening complications of diabetes mellitus are all except -
1. Malignant otitis externa
2. Rhinocerebral mucormycosis
3. Emphysematous pyelonephritis
4. Emphysematous appendicitis

Correct answer: 4. Emphysematous appendicitis

Explanation: Ans is option 4 - Emphysematous appendicitis It is not a fatal complication of DM. malignant otitis externa or invasive or necrotising otitis externa is life threatening in elderly diabetic and immunocompromised patients. Rhinocerebral mucormycosis is a life threatening fungal infection develops in DM patients. Emphysematous pyelonephritis is rapidly progressing with accumulation of fermentive gases in kidney and perinephritic tissues and life threatening. Ref Harrison 16/ 186, 189,1720